Pneumothorax is seen in all, except
1. Marfan syndrome
2. Assisted ventilation
3. Eosinophilic granuloma
4. Bronchopulmonary Aspergillosis

Correct answer: 4. Bronchopulmonary Aspergillosis